Which amino acid can protonate & deprotonate at neutral pH
1. Histidine
2. Leucine
3. Hemocysteine
4. Arginine

Correct answer: 1. Histidine

Explanation: Histidine is the only amino acid that has a functional group (imidazole) that titrates in the physiological pH range.
Depending upon localized pH of its environment, histidine can serve both proton donor (deprotonation) and acceptor (protonation).